Rani (G2P1) presents to labor room in labor at 34 weeks of pregnancy with dilatation of cervix 3 cm and minimal uterine contractions. On ARM, fresh bleeding is seen with late decelerations. LSCS was done but fetus could not be saved. No abruptio or placenta previa was noted. Most likely diagnosis is:
1. Concealed abruptio
2. Battledore placenta
3. Vasa previa
4. Placenta accreta

Correct answer: 3. Vasa previa

Explanation: Ans. is c, i.e. Vasa previaHere patient presents to labor room in labor. The moment ARM is done fresh bleeding is seen late declarations are seen (i.e. there is fetal distress) and fetus could not be saved.There is no placenta previa or abruptio. This points out towards vasa previa as diagnosis because in vasa previa, umbilical cord is attached to membranes. The moment ARM is done, along with membranes, cord is also ruptured which leads to fetal blood loss, fetal distress and ultimately fetal death.